True about immunoglobulins -
1. IgE has minimum concentration
2. IgG has minimum concentration
3. IgA has minimum concentration
4. IgM has minimum concentration

Correct answer: 1. IgE has minimum concentration

Explanation: Of IgE is typically the least abundant isotype--blood serum IgE levels in a normal individual are only 0.05% of the Ig concentration Ref: Ananthanarayan & Panikers textbook of microbiology 9th edition pf:98